Main disadvantage of chamfer finish line is
1. It is less conservative
2. May create lipping
3. Does not provide distinct margin
4. All of the above

Correct answer: 2. May create lipping